Which of the following does not come in contact with anterolateral surface of left kidney?
1. Spleen
2. Liver
3. Stomach
4. Pancreas

Correct answer: 2. Liver

Explanation: A small medial area of the superior pole is related to the left suprarenal gland. Approximately the upper two-thirds of the lateral half of the anterior surface is related to the spleen. A central quadrilateral area lies in contact with the pancreas and the splenic vessels. Above this a small variable triangular region, between the suprarenal and splenic areas, is in contact with the stomach. Below the pancreatic and splenic areas, a narrow lateral strip which extends to the lateral border of the kidney is related to the left colic flexure and the beginning of the descending colon. Ref: Gray's anatomy 40th edition, Chapter 91.